Which of the following is the major circulating form of Vitamin D?
1. 25-(OH) D3
2. 1, 25-(OH)2 D3
3. 24, 25-(OH)2 D3
4. 1, 24-(OH)2 D3

Correct answer: 1. 25-(OH) D3

Explanation: 25-(OH) cholecalciferol is the major circulating form of vitamin D because of the half-life of 3-weeks 1,25-dihydroxy vitamin D3 a.k.a. calcitriol is the biologically active form vitamin D. But, it's half life is low. In clinical laboratory, we measure 25-(OH) cholecalciferol.